Maternal mortality rate is calculated as death of a woman upto a period of:
1. Immediately after delivery
2. 42 days after delivery
3. 7 days after delivery
4. 21 days after delivery

Correct answer: 2. 42 days after delivery

Explanation: Ans. B: 42 days after MMR= Total number of female deaths due to complications of pregnancy, childbirth or within 42 days of delivery from 'puerperal causes' in an area during a given year X 1000/Total number of live births in the same area and year MMR is a measure of quality of maternity services. The MMR should be expressed as a rate per 1000 live births. In developed countries, MMR has declined significantly. Because of this decline, they use the multiplying factor 100,000 instead of 1000 to avoid fractions in calculating MMR.